Inhibitory neurotransmitter in CNS (Spinal cord):
1. Glutamic acid
2. Glycine
3. Histidine
4. GABA

Correct answer: 2. Glycine

Explanation: Glutamate—excitatory neurotransmitter in CNS.
Glycine— Inhibitory neurotransmitter in CNS. Causes hyperpolarization by increasing chloride ion conductance.
GABA— Inhibitory neurotransmitter in brain.